Lynch Howarth surgery is for:
1. Nasal septal perforation
2. Sinonasal tumours
3. Acoustic neuroma
4. Otosclerosis

Correct answer: 2. Sinonasal tumours

Explanation: Frontal osteomas can be excised by Lynch Howarth surgery